Which among the following is the drug of choice for clostridium difficile-induced colitis?
1. Gentamicin
2. Metronidazole
3. Oral Vancomycin
4. Linezolid

Correct answer: 3. Oral Vancomycin

Explanation: TREATMENT OF PMC Immediate cessation of the offending antimicrobial agent Mild disease : Oral Vancomycin :Drug of choice Severe disease: Bowel rest , IV hydration , & IV Metronidazole or Oral Vancomycin